Which of the following stones is hard to break by ESWL?
1. Calcium Oxalate Monohydrate
2. Calcium Oxalate Dihydrate
3. Uric acid
4. Struvite

Correct answer: 1. Calcium Oxalate Monohydrate

Explanation: Calcium oxalate monohydrate and Cystine stones are difficult to fragment by ESWL. Other factors which contribute to poor outcome in ESWL are, obesity, stones larger than 2cm, stone within the calyces. Ref: Hand Book of Surgical Consent By Rajesh Nair, David J. Holroyd, 1st Edition, Page 302